Cognizable offence comes under which section of CrPC:
1. 2 (c)
2. 2 (b)
3. 2 (a)
4. 2 (l)

Correct answer: 1. 2 (c)

Explanation: Cognizable offence: Is an offence in which a police officer can arrest a person without warrant from the Magistrate, e.g. rape, murder, dowry death or attempt to murder . Non-cognizable offence is an offence in which the police officer cannot arrest without a warrant from the Magistrate, e.g. causing miscarriage or voluntarily causing hurt